Commonest cause for hyperparathyroidism is
1. Single adenoma
2. Multiple adenomas
3. Single gland hyperplasia
4. Multiple gland Hyperplasia

Correct answer: 1. Single adenoma

Explanation: A parathyroid adenoma causes the affected gland to release more PTH than it should. This disrupts your calcium and phosphorus balance. This condition is called hyperparathyroidism. Ref ganong's review of medical physiology 25e